The supinator muscle is supplied by
1. Ulnar nerve
2. Anterior interosseous nerve
3. Median nerve
4. Posterior interosseous nerve

Correct answer: 4. Posterior interosseous nerve

Explanation: SupinatorOrigin1.Lateral epicondyle of the humerus. 2.Radial collateral ligament of the elbow joint. 3.Annular ligament. 4.Supinator crest of the ulna, and the posterior part of the triangular area in front of it.Insertion: Upper one-third of the lateral surface of the radius.Nerve Supply: Posterior interosseous nerve (C6, C7).Action: Supination of the forearm.Note: The muscles have two layers, superficial and deep. The posterior interosseous nerve runs downwards between these layers.Ref: BD Chaurasia; Volume 1; 6th edition; Page no: 133